The biochemical mechanism of action of digitalis is associated with
1. An increase in conduction from Atrium to ventricle
2. An increase in ATP synthesis
3. An increase in systolic intracellular calcium levels
4. A block of calcium channel

Correct answer: 3. An increase in systolic intracellular calcium levels

Explanation: Digitalis medicines strengthen the force of the heartbeat by increasing the amount of calcium in the heart's cells. (Calcium stimulates the heartbeat.) ... Digitalismedicines control irregular heart rhythms (called arrhythmias) by slowing the signals that start in the sinoatrial (SA) node. Refer katzung 11e p 214